First indices to change in iron deficiency anemia is -
1. S. Iron
2. Total iron binding capacity
3. S. Ferritin
4. S. Haemoglobin concentration

Correct answer: 3. S. Ferritin

Explanation: The single most sensitive tool for evaluating the iron status is by measurement of serum ferritin. Hemoglobin concentration is relatively insensitive. REF. PARK'S TEXTBOOK OF PREVENTIVE AND SOCIAL MEDICAL 21ST EDITION. PAGE NO - 623